Tonsillar fossa is bounded anteriorly by
1. Pharyngobasilar fascia
2. Palatopharyngeal fold
3. Buccopharyngeal fascia
4. Palatoglossal fold

Correct answer: 4. Palatoglossal fold

Explanation: Tonsilar fossa is bounded by Anterior - Palatoglossal fold containing palatoglossal muscle Posterior - Palatopharyngeal fold containing palato pharyngeal muscle Apex - Soft palate, where both arches meet Base - Dorsal surface of posterior one-third of tongue. (Ref: Anatomy of head, neck and brain. Vishram Singh. P 227 )